Prausnitz-kustner reaction is a
1. Type I Hypersensitivity
2. Type II Hypersensitivity
3. Type III Hypersensitivity
4. Type IV Hypersensitivity

Correct answer: 1. Type I Hypersensitivity

Explanation: Prausnitz-Kustner test was formerly used to determine if a patient has an allergic reaction to a specific antigen. A patients serum is injected in healthy person skin and antigen was injected at same site 24 hours later.If the patient was sensitive it would trigger a type I reaction. Ref : Ananthanarayana textbook of Microbiology 9th edition Pgno : 165